Which of the following is specifically used for grading of SAH?
1. Glasgow coma scale
2. Glasgow scale
3. Hunt and Hess scale
4. none

Correct answer: 3. Hunt and Hess scale

Explanation: *The initial clinical manifestation of SAH can be graded using the Hunt-hess scale or world federation of neurosurgical societies classification schemes . Ref Harrison20th edition pg 2567